In 40 days of the menstrual cycle, the ovulation occurs at :
1. 14th day
2. 20th day
3. 26th day
4. 30th day

Correct answer: 3. 26th day